Billing's method of contraception refers to :
1. Monitoring BBT
2. Cervical mucus method
3. Rhythm method
4. Coitus interruptus method

Correct answer: 2. Cervical mucus method

Explanation: Ans. is b i.e. Cervical mucus method Billing's or cervical mucus method is a type of natural family planning method. This method is based on the observation of changes in the characteristics of cervical mucus. At the time of ovulation - mucus is watery, clear (resembling raw egg white), smooth, slippery and profuse. After ovulation, under the influence of progesterone, the mucus thickens and lessens in quantity. It is recommended that women use a tissue paper to wipe inside the vagina to assess quantity and character of mucus. Intercourse is considered safe during the dry days immediately after the menses initial the mucus is detected. Thereafter the couple must abstain until the fourth day after the peak day. To practice this method, the women should be able to distinguish between different types of mucus. This requires a high degree of motivation. Other natural family planning methods are : Basal body temperature (under the influence of progesterone at the time of ovulation, BBT rises by 0.3 -0.5degF). Calender technique Symptothermic method - it combines BBT+ cervical mucus + calendar technique